Intense self elation and feeling of self importance and exploitation is seen with:
1. Narcissi tic personality disorder
2. Schizoid personality
3. Paranoid PD
4. Schizotypal PD

Correct answer: 1. Narcissi tic personality disorder

Explanation: Ref: A Short Textbook of Psychiatry by Niraj Ahuja, 6th editionExplanation:Personality disorders (PD)Cluster A (Odd & Eccentric)a. Paranoid PDExcessive sensitiveness to setbacks & rebuffsTendency to bear grudges persistentlySuspiciousnessCombative and tenacious sense of personal rightsExcessive self-importancePreoccupation with unsubstantiated conspiratorial' claimsSchizoid PDEmotional coldness, detachmentLimited capacity to express feelingsApparent indifference to either praise or criticismPreference for solitary activitiesLack of of close friends & relationshipsSchizotypal PDInappropriate or constricted affectOdd, eccentric or peculiar behaviour or appearancePoor rapport & Social withdrawalOdd beliefs or magical thinkingSuspiciouness & paranoid ideasCluster B (Dramatic, emotional & Erratic)Anti-social PDCallous unconcern for the feelings for othersDisregard for social norms, rules and obligationsIncapacity to maintain relationshipsLow tolerance to frustration, aggression & violenceHistrionic PDSelf-dramatization, exaggerated expression of emotionsEasily influenced by othersShallow & Labile affectivityAttention seekingExcessive importance to physical appearanceNarcissistic PDInflated self importance & ideas of grandiosityPreoccupation with fantasies of unlimited successAttention seeking, dramatic behaviour, needs constant praiseLack of empathy, exploitative behaviourShaky self-esteem & inferiorityBorderline PDSignificant disturbance of identity of selfUnstable & intense interpersonal relationshipsImpulsivity, angry outburstsDeliberate sell harm & suicidal tendenciesCluster C (Anxious & Fearful)Avoidant PDPersistent feelings of tension & apprehensionBelief that one is unappealing & inferior to othersUnwillingness to become involved with peopleRestrictions in lifestyleAvoidance of social activitiesDependant PDAllowing others to make important decisions in one's lifeSubordination & undue complianceExaggerated fears of inability to care for oneselfLimited capacity to make everyday decisionsObsessive compulsive (Anankastic) PDFeelings of excessive doubt & CautionPreoccupation with details, rules, lists, order organisation or schedulePerfectionism that interferes with task completionRigidity & Stubbormess